Which of the following treatments is appropriate for tall peaked T waves on ECG ?
1. Atropine IV
2. Nitroprusside IV
3. Inhaled Salbutamol
4. Inhaled betamethasone

Correct answer: 3. Inhaled Salbutamol